Adrenocortical suppression causing drugs are all except ?
1. Prednisone
2. Ketoconazole
3. Mitotane
4. Spironolactone

Correct answer: 4. Spironolactone

Explanation: Ans. is 'd' i.e., Spironolactone Drugs causing adrenocortical suppression are: Steroids (prednisone, hydrocortisone, and dexamethasone) Aminoglutethimide Fludrocortisone Ketoconazole Megestrol Metyrapone Mitotane